Which of the following is not an antimetabolite ?
1. Methotrexate
2. 5 Fluorouracil
3. Gemcitabine
4. Vincristine

Correct answer: 4. Vincristine